Pseudolaminar necrosis is a feature of -
1. Cerebral infarct
2. Renal infarct
3. Hepatic infarct
4. Cardiac infarct

Correct answer: 1. Cerebral infarct

Explanation: In the cerebral neocortex, the neuronal loss and gliosis are uneven, with preservation of some layers and destruction of others, producing the pattern of injury termed pseudo-laminar necrosis.